Myringotomy is indicated in:
1. Coalescent mastoiditis
2. Cholesteatoma
3. ASOM
4. External otitis media

Correct answer: 3. ASOM

Explanation: (c) ASOM(Ref. Scott Brown, 8th ed., Vol 2; 143)Myringotomy is indicated in ASOM. Another indication of doing Myringotomy is in serous Otitis media (SOM). Here in SOM Myringotomy along with grommet insertion is done.